Wagner and Grossman theory is related to:
1. Palatal palsy
2. Vocal cord palsy
3. Facial palsy
4. Hypoglossal palsy

Correct answer: 2. Vocal cord palsy

Explanation: Semons law and wegner and Grossman hypothesis are both related to vocal cord palsy. Wagner grossman hypothesis states that in U/L recurrent laryngeal nerve palsy, cricothyroid muscle which receives innervation from superior laryngeal nerve keeps the cord in paramedian position due to its adduction action.